True about VSD is all except –
1. Small hole closes spontaneously
2. Defect is usually in membranous part
3. Endocarditis is a common complication
4. Pulmonary Oligemia in chest x–ray

Correct answer: 4. Pulmonary Oligemia in chest x–ray

Explanation: Chest x-ray in VSD 

Pulmonary vasculature is increased → Pulmonary plethora (not oligemia).
Aorta is normal or smaller
Left atrial enlargement
If defect is small Normal sized heart.
If defect is large → Cardiomegaly.